Agammaglobulinemia can present with?
1. Rhinitis
2. Bronchiectasis
3. Giardia infections
4. All above

Correct answer: 4. All above

Explanation: ANSWER: (D) All aboveREF: Harrisons 18th ed chapter 361Major signs and symptoms of B cell defects are due to inadequate production of antibodies, and most mucosal membranes are left unguarded, hence leading to their infections.Defective antibody production allows the establishment of invasive, pyogenic bacterial infections as well as recurrent sinus and pulmonary infections (mostly caused by Streptococcus pneumoniae, Haemophilus influenzae, Moraxella catarrhalis, and, less frequently, by gram-negative bacteria). If left untreated, recurrent bronchial infections lead to bronchiectasis and, ultimately, cor pulmonale and death. Parasitic infections such as caused by Giardia lambliasis as well as bacterial infections caused by Helicobacter and Campylobacter of the gut are also observed. A complete lack of antibody production (namely agammaglobulinemia) can also predispose affected individuals to severe, chronic, disseminated enteroviral infections causing meningoencephalitis, hepatitis, and a dermatomyositis-like disease.